Most crucial part of tuberculosis control programme is –
1. Contact tracing
2. BCG vaccination
3. Treatment of sputum positive cases
4. Treatment of X–ray positive cases

Correct answer: 3. Treatment of sputum positive cases

Explanation: The most powerful weapon in tuberculosis control is → case finding and t/t.
Cases are defined by WHO as a patient whose sputum is positive for tubercle bacilli.